The most strongly implicated premalignant condition of the oral cavity is -
1. Fordyce spots
2. Erythroplakia
3. Median rhomboid glositis
4. Erythema multiforme

Correct answer: 2. Erythroplakia

Explanation: Erythroplakia is analogous to the term leukoplakia which describes white patches. Together, these are the 2 traditionally accepted types of premalignant lesion in the mouth,When a lesion contains both red and white areas, the term "speckled leukoplakia" or "eyhroleukoplakia" is used. Although oral erythroplakia is much less common than leukoplakia, erythroplakia carries a significantly higher risk of containing dysplasia or carcinoma in situ, and of eventually transforming into invasive squamous cell carcinoma (a type of oral cancer). The most common areas in the mouth where erythroplakia is found are the floor of the mouth, buccal vestibule, the tongue, and the soft palate. It appears as a red macule or plaque with well-demarcated borders. The texture is characterized as soft and velvety. An adjacent area of leukoplakia may be found along with the erythroplakia Erythroplasia may also occur on the laryngeal mucosa,or the anal mucosa Ref Davidson 23rd pg 1209